Spermatogenesis is regulated by a negative feedback control system in which FSH stimulates the steps in sperm cell formation. Which negative feedback signal associated with sperm cell production inhibits pituitary formation of FSH?
1. Testosterone
2. Inhibin
3. Estrogen
4. LH

Correct answer: 2. Inhibin

Explanation: The Sertoli cells of the seminiferous tubules secrete inhibin at a rate proportional to the rate of production of sperm cells. Inhibin has a direct inhibitory effect on anterior pituitary secretion of FSH. FSH binds to specific receptors on the Sertoli cells, causing the cells to grow and secrete substances that stimulate sperm cell production. The secretion of inhibin thereby provides the negative feedback control signal from the seminiferous tubules to the pituitary gland Role of growth hormone in spermatogenesis is Early division of spermatogonia